Gas with greatest affinity for haemoglobin
1. O2
2. CO
3. CO2
4. N2O

Correct answer: 2. CO